Chromosomal anomalies more than 20% is associated with aEUR'
1. Gastroschisis
2. Omphalocele
3. Spina Bifida
4. Cleft Palate

Correct answer: 2. Omphalocele

Explanation: Omphalocele "Chromosomal abnormalities have been reported in as many as 43% fetuses with omphalocele. The most common being 13, 18, 21 and Turner's syndrome". Omphalocele Omphalocele is a midline defect of the anterior abdominal wall characterized by herniation of the abdominal visceral in to the base of the umbilical cord. Omphalocele is a defect of the umbilical ring which results from a failure of the two lateral abdominal wall folds to migrate and. fuse normally in the midline around the 3rd or 4th week of intrauterine life. The defect is characteristically located at the base of the umbilical cord and may contain abdominal and thoracic structures. The herniated visceral are included in a sac which is .formed internally by the peritoneum and externally by Wharton's jelly and the amnion. Omphalocele is associated with number of congenital anomalies Anomalies Gastroschisis Gastroschisis is a herniation of the abdominal viscera through a paraumibilical defect of the anterior abdominal wall. The defect is usually located at the right side of the cord insertion and comprises full thickness of the abdominal wall. The herniated organ is usually bowel and very rarely other structures are involved. In contrast to omphalocele - "Gastrochisis is rarely associated with other congenital anomalies". The most frequent associated anomalies are gastrointestinal in origin and are related to the same vascular embryologic problem that originates the gastrochisis. - Intestinal atresia or stenosis (7-30%) cardiac malformation seen in 8% cases. It is also associated with I.U.G.R.